USG is/are based on:
1. Piezoelectric effect
2. Diamagnetic effect
3. Paramagnetic effect
4. Ferromagnetic effect

Correct answer: 1. Piezoelectric effect

Explanation: Ans. A. Piezoelectric effectUltrasonography:Ultrasonic image(sonographic/echographic) is based on mechanical oscillations of the crystal excited by electrical pulses (Piezoelectric effect).